Which  of  the  following  terms  best  describes  a  drug that blocks the action of adrenaline at its receptors by occupying those receptors without activating them?
1. Pharmacologic antagonist
2. Non competitive antagonist
3. Physiologic antagonist
4. Chemical antagonist

Correct answer: 1. Pharmacologic antagonist